Cremasteric muscle is supplied by:
1. Genital branch of genitofemoral nerve
2. Femoral nerve
3. Ilioinguinal nerve
4. Superior gluteal nerve

Correct answer: 1. Genital branch of genitofemoral nerve

Explanation: Ans: A (Gen tial branch of genitofemoral nerve) Cremastric muscle is supplied by genital branch of genitofemoral nerved (L1)- BDC 4th / Vol II 202